Mees's lines are characteristic of:
1. Mercury poisoning
2. Arsenic poisoning
3. Lead poisoning
4. Copper poisoning

Correct answer: 2. Arsenic poisoning

Explanation: Ans. Arsenic poisoning